9.Atropic dry nasal mucosa,extensive encrustations with woody hard external nose is suggestive of:
1. Rhinosporidiosis
2. Rhinoscleroma
3. Atrophic rhinitis
4. Carcinoma of nose

Correct answer: 2. Rhinoscleroma

Explanation: Rhinoscleroma: In a patient presenting with atrophic dry nasal mucosa, extensive crustig and woody hard external nose. Ref Dhingra 6/e p 156